Which of the following drugs halts macrovascular as well as microvascular effects of DM?
1. Acarbose
2. Biguanides
3. Meglitinide
4. Algaliptin

Correct answer: 2. Biguanides

Explanation: Ans. is 'b' i.e., Biguanides Biguanides* Biguanides like metformin are the 1st line drugs for the treatment of Type 2 DM, which acts by AMPK activation.* Advantages of Biguanides are as followsi) Non hypoglycemic.ii) Promotes weight loss.iii) Prevents macro as well as microvascular complications of DM.iv) No acceleration of p cell failure.v) Reduction in glycosylated Hb, i.e., HbAlC by around 1%.vi) It has also found to improve fertility in PCOD patients.